Percutaneous vertebroplasty is indicated in all except -
1. Tuberculosis
2. Metastasis
3. Osteoporosis
4. Hemangioma

Correct answer: 1. Tuberculosis

Explanation: It can be used in the setting of painful osteoporotic compression fractures, pathologic fractures from underlying neoplasms, or structurally compromised vertebrae. Percutaneous vertebroplasty (PVP) usually involves percutaneous injection of PMMA into the vertebral bodies Percutaneous cementoplasty (also known as vertebral packing or vertebroplasty) with acrylic cement (polymethylmethacrylate ) A procedure aimed at preventing vertebral body collapse and pain in patients with pathologic vertebral bodies. Percutaneous cementoplasty is a promising therapeutic technique for pain control in patients with bone failure Applications It can be used in the treatment of: Severe painful osteoporosis with loss of height and/or with compression fractures of vertebral bodies 1) Insufficiency fracture 2) Aggressive hemangioma 3) Vertebral multiple myeloma 4) Painful vertebral body tumors and acetabular tumors 5) Vertebral metastases Ref essential orthopaedic maheshwari and mhaskar 9TH EDp 270